CRISPR/Cas9 mediated gene editing involves which of the following DNA repair mechanisms?
1. Base Excision Repair
2. Nucleotide Excision Repair
3. Non-Homologous End Joining
4. Mismatch Repair

Correct answer: 3. Non-Homologous End Joining

Explanation: CRISPR The CRISPR system represents a form of acquired immunity to infection by bacteriophages, which complements the system of restriction endonucleases and methylases. CRISPR uses RNA-based targeting to bring the Cas9 nuclease to foreign (or any complementary)DNA. Within bacteria this CRISPR-RNA-Cas9 complex degrades and inactivates targeted DNA. Use- gene deletion,gene editing and even modulation of gene transcription. CRISPR mediated gene therapy works on the basis of both homologous and non-homologous end joining DNA repair mechanism